Which of the following is the negative stain
1. Fontana
2. ZN stain
3. Nigrosin
4. Alber stain

Correct answer: 3. Nigrosin

Explanation: Ref Robbins 9/e p 69 Negative staining is a techinque in which the background is stained.leaving the actual specimen untouched and thus visible, in contrast with positive staining ,the actual specimen is stained